A 40 year old male, scrotal swelling. Exam - bag of worms swelling present. Which structure is responsible:
1. Pampiniform plexus of veins
2. Testicular artery + Pampiniform plexus of veins
3. Spermatic cord + Testicular artery
4. Testicular vein + Testicular artery

Correct answer: 1. Pampiniform plexus of veins

Explanation: Ans. (a) Pampiniform plexus of veinsRef: Bailey 26th Edition, Page 1381* Varicocele is a varicose dilatation of the veins draining the testis. Vein draining the testis and epididymis form the pampiniform plexus